A tooth with a 3 month history of pain, which was worse when hot liquid were in mouth. After extraction, the tooth was split open. The pulp chamber was completely filled with pus. A few remnants of pulp tissue were found in apical end. The condition is:
1. Acute partial pulpits
2. Acute total pulpits
3. Suppurative pulpitis
4. Strangulation of pulp

Correct answer: 3. Suppurative pulpitis